The first virological marker following acute hepatic infection if he has
1. IgM Anti Hbc Ag
2. Hbs Ag
3. Anti Hbs Ag
4. Anti Hbe Ag

Correct answer: 2. Hbs Ag